Choroidal neurovascularization is seen in all except -
1. Trauma
2. Angiod streak
3. Myopia
4. Hypermetropia

Correct answer: 4. Hypermetropia

Explanation: Brushfield spots are small, white or grayish/brown spots on the periphery of the iris in the human eye due to aggregation of connective tissue, a normal constituent of theiris stroma. Hypermetropia is a long sightedness Ref khurana 6/e